The glomerular filtration rate of the human kidney may be determined by measuring the plasma clearance of:
1. PAH
2. Urea
3. Inulin
4. Glucose

Correct answer: 3. Inulin